The treatment of choice for squamous cell anal cancer?
1. Laser fulgaration
2. Chemoradiotherapy
3. Abdominoperennial resection
4. Platinum-based chemotherapy

Correct answer: 2. Chemoradiotherapy

Explanation: Squamous cell anal cancer is rare but associated with Human papilloma virus infection (HPV), Anal intra-epithelial neoplasia (AIN) and immunosuppression. The current treatment of anal canal carcinoma is chemoradiotherapy (combined modality therapy). Chemotherapy include a combination of 5-FU with mitomycin C or Cisplatin. Ref: Bailey and Love Short Practice of Surgery, 25th Edition, Page 1269; The MD Anderson Manual of Medical Oncology, 2nd Edition, Chapter 22.